The model of web of causation of diseases was first suggested by:
1. Pettenkofer
2. Mac Mohan & Pugh
3. John M. Last
4. C.E.A. Winslow

Correct answer: 2. Mac Mohan & Pugh